About 20 gms of hairs required to be preserved in
1. Heavy metal poisoning
2. Aconite poisoning
3. Iodine poisoning
4. Codeine poisoning

Correct answer: 1. Heavy metal poisoning

Explanation: Hair and nails are preserved in heavy metal poisoning e.g. arsenic, antimony, radium, thalium.